Stature is determined by which formula:
1. Hasse
2. Widmark
3. Trotter and Gleser
4. Locard

Correct answer: 3. Trotter and Gleser

Explanation: Ans. Trotter and Gleser